Second stage of labor begins with
1. Fully effaced cervix
2. Fully dilated cervix
3. Fetal delivery
4. Placental delivery

Correct answer: 2. Fully dilated cervix

Explanation: Second Stage of LaborThis stage begins with complete cervical dilation and ends with fetal delivery. The median duration is approximately 50 minutes for nulliparas and about 20 minutes for multiparas, but it is highly variable Reference: William's Obstetrics; 25th edition; Chapter 22; Normal Labor